Waddell's triad of injuries is seen in:
1. Adult pedestrian struck by motor vehicles
2. Pediatric pedestrian struck by motor vehicles
3. Front seat passengers of motor vehicles
4. Driver of a motor vehicle

Correct answer: 2. Pediatric pedestrian struck by motor vehicles

Explanation: Waddell's triad - It is a pattern of injury seen in pedestrian children who are struck by motor vehicles. - It comprises of fractured femoral shaft, intra-thoracic/intra-abdominal injuries and contralateral head injury. - Mechanism of injury is an initial impact causing injury to the pelvis and femur instead of the knees and tibia followed by the chest and abdomen (grill, fender or hood). - Then the child is thrown on the ground and sustaining injury to the opposite side of the head